All of the following are seen in female pseudohermaphroditism, EXCEPT:
1. Karyotype is 45, X0
2. Empty scrotum syndrome
3. Ovaries present
4. Excessive androgen exposure

Correct answer: 1. Karyotype is 45, X0

Explanation: In female pseudohermaphroditism, mullerian-inhibiting substance is not produced. Androgen exposure is excessive. The karyotype is 46,XX and ovaries are present. If androgen levels increase earlier in embryonic development, more severe virilization can be seen. This includes formation of labioscrotal folds; development of a urogenital sinus, in which the vagina empties into the posterior urethra; and development of a penile urethra with scrotal formation--the empty scrotum syndrome. Ref: (2010). Chapter 4. Fetal Growth and Development. In Cunningham F, Leveno K.J., Bloom S.L., Hauth J.C., Rouse D.J., Spong C.Y. (Eds), Williams Obstetrics, 23e.